Which among the following medications has been found to be effective in smoking cessation?
1. Bupropion
2. Buspirone
3. Paroxetine
4. Venlafaxine

Correct answer: 1. Bupropion

Explanation: Bupropion has been shown to reduce the urge in people who need to quit smoking. Also used for depression Ref: KD Tripathi 8th ed.